A 25 years old renal transplant recipient died of meningitis. On autopsy, gelatinous exudates with cystic masses were seen and a round, encapsulated organism was isolated. Which is the best stain for diagnosis
1. Mucicarmine
2. Aliciane blue
3. Giemsa
4. Prussian blue

Correct answer: 1. Mucicarmine

Explanation: Cryptococcal meningitis - the disease is usually seen in an immunocompromised host. It occurs by haematogenous route. A spherical budding cell having a prominent polysaccharide capsule which may be demonstrated by Indian ink. Histopathological examination of tissue can be done by staining with mucicarmine stain, H&E and PAS. Ref: Baveja textbook of microbiology; 4th edition.